Pseudo fracture occurs in?
1. Osteomalacia
2. Osteoporosis
3. Osteopetrosis
4. Osteosclerosis

Correct answer: 1. Osteomalacia

Explanation: Ans. is 'a' i.e., Osteomalacia Milkman's fracture/Pseudofractures/Looser's zones/Osteoid seams These may be defined as areas of unmineralized bone that are typically seen at sites of mechanical stress (incomplete stress fractures) or at sites of nutrient vessel pulsations Typical features include : Narrow radiolucent bands (2-3mm) lying perpendicular to cortex (Right angle to cortex) Usually Bilateral Usually symmetrical At a later stage sclerosis develops around these lesions mature them more prominent Conditions where Milkman's fracture may be seen : Rickets/ osteomalacia (most characteristic) Fibrous dysplasia Renal osteodystrophy Paget's disease Common locations : Scapula Medial femoral neck & shaft Pubic &Ischia' rami Lesser trochanter Ribs & clavicle Proximal ulna & radius Phalanges, metacarpals & metatarsals